Cephalic index 75-80 is seen in:-
1. Mongols
2. Aryans
3. Negros
4. Chinese

Correct answer: 4. Chinese

Explanation: Maximum breadth of skull Cephalic index = -------- x 100 Maximum length of skull Based on cephalic index we can have. Category Cephalic index Race Dolichocephalic (long headed) 70 - 75 Aryan, negroes Mesaticephalic (medium headed) 75 - 80 Europeans, Chinese, Indians Brachycephalic (short headed) 80 - 85 Mongolians, Japanese Dolichocephalic - Aryans, Negroids - Cephalic index (70- 75) Mesaticephalic - Europeans, Chinese - Cephalic index (75 - 80) Brachy cephalic - Mongoloids - Cephalic index (80 - 85)